Which of the following is the only intrinsic muscle of larynx that lies outside the laryngeal framework
1. Cricopharyngeus
2. Superior constrictor
3. Cricothyroid
4. Lateral cricoarytenoid

Correct answer: 3. Cricothyroid

Explanation: Cricothyroid muscle is the only intrinsic muscle which is supplied by external laryngeal nerve and lies outside the laryngeal framework. Ref:- Dhingra; pg num:-284